Most characteristic GN in HIV is -
1. FSGN
2. MPGN
3. MCD
4. RPGN

Correct answer: 1. FSGN